Structures removed in vertical partial laryngectomy are all except -
1. True cord
2. Epiglottis
3. Arytenoid
4. Thyroid cartilage

Correct answer: 2. Epiglottis

Explanation: Ans. is 'b' i.e., Epiglottis * Broadly, Three types of partial laryngectomy procedures# Partial vertical laryngectomy# Supraglottic horizontal laryngectomy# Subtotal laryngectomyPartial Vertical Laryngectomy:* Used to remove carcinoma confined to or with little spread from the true vocal cord.* Structures removed are:i) Whole vocal cord on the affected side, including the carcinomaii) Ipsilateral arytenoid cartilageiii) Adjacent part of ipsilateral thyroid cartilageiv) Part of the adjacent cricoid cartilage, if there is some subglottic spread.Supraglottic Horizontal Laryngectomy:* Used for - Supraglottic neoplasms.* Structures removed arei) Epiglottisii) Hyoid boneiii) Thyrohyoid membraneiv) Upper half of thyroid cartilageSubtotal Laryngectomy* Used forExtensive laryngeal neoplasm involving both glottis on one side only and supraglottis.* Structures removed arei) Supraglottic larynx as for supraglottic laryngectomyii) Vertical half of the affected glottis and subglottis with the neoplasm, leaving one vocal cord intact for phonation.